Hyperresponsiveness of monocytes leads to bone loss through
1. PGE2 production
2. PGA2 production
3. PGI2 production
4. TXA2 production

Correct answer: 1. PGE2 production